In majority of patient with esophageal leaks in thoracic cavity of less than 12 hours duration, the treatment of choice is
1. Primary closure, drainage and antibiotics
2. Early esophagogastrostomy
3. Exclusion and diversion of continuity
4. Total esophagectomy and gastric pull up

Correct answer: 1. Primary closure, drainage and antibiotics